Enzyme deficient is Von Gierke disease is
1. Acid maltase
2. Alpha 1, 4 glucosidase
3. Glucose phosphorylase
4. Glucose 6 - phosphatase

Correct answer: 4. Glucose 6 - phosphatase

Explanation: Enzyme deficient in Von Gierke disease is Glucose 6 - phosphatase.